Which of the following is the most specific marker for Gastro Intestinal Stromal Tumor ?
1. Desmin
2. SMA
3. DOG - 1
4. S - 100

Correct answer: 3. DOG - 1

Explanation: DOG - 1 is most specific marker for GIST